The murmur in patients with acute MR is?
1. Early systolic
2. Presystolic
3. Midsystolic
4. Holosystolic

Correct answer: 1. Early systolic

Explanation: Ans. A. Early systolicIn acute MR the murmur is not pan systolic unlike that in chronic MR. In acute MR the pressure in Left atrium becomes very high because of the small size and less compliance of LA.This sudden rise in pressure in LA cause pulmonary edema and the regurgitation is not able to continue throughout systole.Therefore, the murmur is early systolic.